Flagella not true -
1. Locomotion
2. Attachment
3. Protein in nature
4. Antigenic

Correct answer: 2. Attachment

Explanation: Ans. is 'b' i.e., Attachment